Stimulation of the sympathetic nerves to the normal heart:
1. Increases duration of the TP interval
2. Increases the duration of the PR interval
3. Decreases the duration of the QT interval
4. Leads to fewer P waves than QRS complexes

Correct answer: 3. Decreases the duration of the QT interval

Explanation: Ans. C. Decreases the duration of the QT intervalStimulation of the sympathetic nerves to the normal heart decreases the duration of the ventricular action potential and, therefore, decreases the QT interval. As heart rate increases, the duration of diastole and, therefore, the TP interval decreases. Increased conduction velocity in the AV node decreases the duration of the PR interval. Fewer P waves than QRS complexes are indicative of AV block. On the contrary, sympathetic stimulation may reverse AV block. The frequency of QRS complexes increases with the heart rate.